Catecholamine hormones are synthesized in the:
1. Chromaffin cells of adrenal medulla
2. Zona glomerulosa of adrenal cortex
3. Zona fasciculate of adrenal cortex
4. Zona reticularis of adrenal cortex

Correct answer: 1. Chromaffin cells of adrenal medulla

Explanation: Ans. A. Chromaffin cells of adrenal medullaCatecholamines are synthesized by tyrosine. DOPA forms Dopamine in the cytosol which by Dopamine oxidase (Cu containing) forms Nor-epinephrine in the Chromaffin granules of pheochromocyte. This reaction requires copper and Vitamin C. Nor-epinephrine then enters cytoplasm and undergoes methylation by methionine to form Epinephrine. Both after synthesis enters in the chromaffin granules for storage.